Which of the following drug is useful in acute attack of migraine ?
1. Bromocriptine
2. Cinnarizine
3. Sumatriptan
4. Ondansetron

Correct answer: 3. Sumatriptan